Most common cause of convulsion on the First day of life in a newborn is -
1. Anoxia
2. Head Injury
3. Hypoglycemia
4. Hypocalcemia

Correct answer: 1. Anoxia

Explanation: Ans. is 'a' i.e., Anoxia Neonatal seizures o The most prominent feature of neurological dysfunction in the neonatal period are seizures. o The five major causes of neonatal seizures are ? 1) Hypoxic ischemic encephalopathy (hypoxia, anoxia) --> most common 4) Meningitis 2) Hypocalcemia 5) Polycythemia 3) Hypoglycemia